In how many years, the mandibular central incisors erupt as permanent teeth?
1. 8-9 years
2. 10-12 years
3. 6-7 years
4. 17-25 years

Correct answer: 3. 6-7 years